Not feature of Fuch's heterochromiciridocyclitis:
1. White nodules on the anterior surface of the iris
2. Koppeprecipitates present at back of cornea
3. Granulomatous type of low grade anterior uveitis
4. Topical corticosteroids are used for treatment

Correct answer: 3. Granulomatous type of low grade anterior uveitis

Explanation: Answer- C. Granulomatous type of low grade anterior uveitisFuchs' heterochromiciridocyclitis is a chronic nongranulornatous type of low grade anterior uveitis.The disease is characterised by:Heterochromia of iris,Diffuse stromal iris atrophy,Fine KPs at back of cornea,Faint aqueous flare,Absence of posterior synechiaeTopical corticosteroids are all that is required.